A mother brings her 5-month-old infant to the physician for a well-baby checkup. At this time the physician should expect to see
1. Stranger anxiety
2. A pincer grasp
3. Object permanence
4. Sitting with support

Correct answer: 4. Sitting with support

Explanation: Sitting with support is normally seen in a 5-month-old infant. Stranger anxiety (fear of unfamiliar people) does not appear until approximately 7 months of age. A pincer grasp (using thumb and forefinger) appears at approximately 9 months of age, whereas object permanence (the ability to maintain a mental representation of an object although it can no longer be seen) occurs between 12 and 18 months of age. Using meaningful words is not commonly present until at least 12 months of age.